Refractory Septic shock is defined as?
1. Shock persisting > 1 hour after IVF administration
2. Shock persisting > 1 hour after IVF administration and high dose vasopressors
3. Shock that is refractory to medical treatment
4. Shock that does not improve despite treatment for 24 hours

Correct answer: 2. Shock persisting > 1 hour after IVF administration and high dose vasopressors

Explanation: Septic Shock Sepsis with hypotension despite adequate fluid resuscitation for atleast 1 hr, with perfusion abnormalities. or Need of vasopressors to maintain the blood pressure Refractory Septic Shock Septic shock that last for 1 hour and does not respond to fluid or pressor administration.